Dr. Christian Bernard preformed the Ist heart transplant in the year -
1. 1962
2. 1965
3. 1969
4. 1967

Correct answer: 4. 1967

Explanation: Ans. is 'd' i.e., 1967